Which of the following forms Anterior boundary of Middle mediastinum?
1. Sterno-pericardial ligaments
2. Oesophagus
3. Azygos vein
4. Descending thoracic aorta

Correct answer: 1. Sterno-pericardial ligaments

Explanation: BOUNDARIES OF MIDDLE MEDIASTINUM: Anteriorly - sterno-pericardial ligaments Posteriorly - esophagus, descending thoracic aorta, Azygos vein On each side - Mediastinal pleura